Profound analgesia is produced by which parentaral anaethetic?
1. Thiopental
2. Propofol
3. Ketamine
4. Etomidate

Correct answer: 3. Ketamine

Explanation: Ketamine produces intense analgesia and anaesthesia. Thiopentone , Etomidate and Propofol produces anesthesia without analgesia. From padmaja 4th edition Page no 194,195